Caspases contain which of the following amino acids in their active site?
1. Cysteine
2. Cystine
3. Methionine
4. Taurine

Correct answer: 1. Cysteine

Explanation: A feature of apoptosis is the activation of several members of a family of cysteine proteases named caspases. The term caspase is based on two properties of this family of enzymes: the "c" refers to a cysteine protease (i.e., an enzyme with cysteine in its active site), and "aspase" refers to the unique ability of these enzymes to cleave after aspartic acid residues. The presence of cleaved, active caspases is a marker for cells undergoing apoptosis. Ref: Robbins 8th edition, Chapter 1.